Complications encountered in intrauterine growth retardation (IUGR) babies include:
1. Perinatal asphyxia
2. Hypoglycemia
3. Polycythemia
4. All of the above

Correct answer: 4. All of the above

Explanation: Ans. D. All of the aboveBabies who are IUGR have failed to attain their genetic potential of growth. Overall, perinatal mortality and subsequent morbidity have been found to be 8-10 times higher in IUGR fetuses compared to their age appropriate counterparts.Complications of IUGR infants include: Increased mortality, perinatal asphyxia, hypothermia, hypoglycemia, meconium aspiration syndrome, persistent pulmonary hypertension of newborn, poor maintenance of nutrition and growth, polycythemia, hyperbilirubinemia, infection, necrotizing enterocolitis, pulmonary hemorrhage and congenital malformations.